Mallory hyaline is
1. Vimentin
2. Cytokeratin
3. Keratin
4. Collagen

Correct answer: 2. Cytokeratin

Explanation: Mallory bodies or alcoholic hyaline: These are eosinophilic, intracytoplasmic inclusions seen in perinuclear location within swollen and ballooned hepatocytes. They represent aggregates of cytoskeletal intermediate filaments (prekeratin). They can be best visualised with connective tissue stains like Masson's trichrome and chromophobe aniline blue, or by the use of immunoperoxidase methods. Mallory bodies are highly suggestive of, but not specific for, alcoholic hepatitis since Mallory bodies are also found in certain other conditions such as: 1.primary biliary cirrhosis, 2.Indian childhood cirrhosis, 3.cholestatic syndromes, 4.Wilson's disease, 5.intestinal bypass surgery TEXT BOK OF HARSH MOHAN SIXTHEDITION PAGE.621 IMAGE REF: